Difference between antemortem & postmortem blisters -
1. Size
2. Colour of the blister fluid
3. Chloride and a albumin content
4. PM blister is dry

Correct answer: 3. Chloride and a albumin content